Soft contact lenses are made from which one of the following materials?
1. Poly ethyl methaacrylate
2. Hydroxy ethyl methacrylate
3. Silicon
4. Glass

Correct answer: 2. Hydroxy ethyl methacrylate

Explanation: Hydroxy ethyl methaacrylate is a soft, flexible, water-absorbing, plastic used to make soft contact lenses. It is a polymer of 2-hydroxyethyl methacrylate (HEMA), a clear liquid component. Hard contact lenses are made from polymethyl methacrylate (PMMA) and Silicon.